X-ray view for supra orbital fissure -
1. Towne's
2. AP
3. Cald well
4. Basal

Correct answer: 3. Cald well

Explanation: Ans. is 'c' i.e., Cald well Various skull viewsViewStructures seenWater (occipitomental view)OrbitMaxillary sinus (best view for maxillary sinus)Sphenoid sinus (if X-ray is taken with open mouth)Frontal sinusEthmoid sinusesInfratemporal fossaUpper & lower jawZygomatic archNasal cavityCald well (occipito-frontal view)Superior orbital fissureFrontal sinus (best view for frontal sinus)Maxillary sinusEthmoid sinusForamen rotundumOrbitNasal cavityPetrous boneLateral viewSella turcica (best view for sella turcica)Coronal and lambdoid sutureFrontal; maxillary; middle & posterior ethmoid sinusesTuberculum sellaeSulcus chiasmaticusBasal (submentovertical) viewSphenoid sinus (best to visualize sphenoid sinus)Posterior ethmoid sinusMaxillary sinusGreater wing of sphenoidForamen ovale, spinosum, and lacerumForamen magnumMastoid boneTowne's viewForamen magnumDorsum sellaeOccipital boneInternal acoustic canalMastoidsCondyles or mandibleso Superior orbital fissure can also be seen on water's view, but best is caldwell view."The superior orbital fissure can easily indentified and normally has a slightly concave lateral appearacne"- Text book of oral radiology